Pea-soup stool is characteristically seen in:
1. Cholera
2. Botulism
3. Typhoid
4. Polio

Correct answer: 3. Typhoid

Explanation: Ans. is 'c' i.e., Typhoid Pea-soup stool - It is khaki-green, slimy stools typically occurs in a week of typhoid fever, at which point the patients are in toxic state and at greatest risk for the intestinal perforation and hemorrhage.Extra edge point - Similar stools occur in Enteropathogenic E. coli infection of infants.